The most common presentation of endemic goiter?
1. Diffuse goite
2. Solitary nodule
3. Hypothyroid
4. Hyperthyroid

Correct answer: 1. Diffuse goite

Explanation: Ans. (a) Diffuse goiterRef: Bailey and Love Principles and Practice of Surgery, 26th edition, Page 748* Most common presentation of endemic goiter is diffuse goiter. Such diffuse goiter is seen in pregnancy and puberty.* Other presentations include multinodular goiter, diffuse toxic goiter and nodule.* Most important factor causing goiter is iodine deficiency (Normal Iodine needed per day =0.1-0.15mg)* Goitrogens are the vegetables of the brassica family: Cabbage, Kale and Rape